Phytobezoars are composed of -
1. Hair
2. Vegetable Matter
3. Undigested food
4. Desquamated epithelial cells

Correct answer: 2. Vegetable Matter

Explanation: Ans. is 'b' i.e., Vegetable Matter Bezoarso Bezoars are concretions of indigestible matter that accumulate in the stomach.Two typeso Trichobezoars, composed of hair, occur most commonly in young women who swallow their hairo Phytobezoars are composed of vegetable matter and, are usually seen in association with gastroparesis or gastric outlet obstructiono Symptoms: Most commonly, bezoars produce obstructive symptoms, but they may cause ulceration and bleedingo Diagnosis is suggested by upper GI series and confirmed by endoscopy,o Treatment options include# Enzyme therapy (papain, cellulase, or acetylcysteine),# Endoscopic disruption and removal, or# Surgical removal.